Aplastic anemia in hereditary spherocytosis precipitated by -
1. Parvo virus
2. HIV
3. FRV
4. None of the above

Correct answer: 1. Parvo virus